Mechanism of action of SSRI:
1. Inhibit the reuptake of norepinephrine
2. Inhibit the reuptake of norepinephrine and serotonin
3. Inhibit the reuptake of dopamine
4. Inhibit the reuptake of serotonin

Correct answer: 4. Inhibit the reuptake of serotonin

Explanation: Ans. D. Inhibit the reuptake of serotoninAs the name suggest SSRI selectively inhibit the reuptake of serotonin. They lack anticholinergic and alpha blocking properties. They are the first choice of OCD, depression, phobia, panic and PTSD. Unlike TCA, they don't cause sedation or weight gain.